A 55 year old gentleman presented with history of right upper quadrant discomfort, jaundice, pruritis, fever, fatigue and weight loss. His serum bilirubin and alkaline phosphatase levels are raised and he also gives history of treatment for inflammatory bowel disease. He is most likely to be suffering from:
1. Benign bile duct stricture with cholangitis
2. Biliary worms
3. Bile duct malignancy
4. Primary sclerosing cholangitis

Correct answer: 4. Primary sclerosing cholangitis

Explanation: Ans. (d) Primary sclerosing cholangitisThe clinical feature of obstructive jaundice (jaundice, pruritis, raised bilirubin and alkaline phosphatase) along with Inflammtory bowel disease in an adult male is suggestive of Primary sclerosing cholangitis.